Which of the following is not a feature of hypothyroidism ?
1. Intellectual disability
2. Large head
3. Calf muscle hypertrophy
4. Microcephaly

Correct answer: 4. Microcephaly

Explanation: Hypothyroidism characterized by open and widened fontanelle results in large head and intellectual disability. Reference: ghai essential of pediatrics, eighth edition, p.no:517,table 17.6